Enzyme that protects the brain from free radical injury is:
1. Myeloperoxidase
2. Superoxide dismutase
3. NADPH oxidase
4. Hydroxylase

Correct answer: 2. Superoxide dismutase

Explanation: - Superoxidase dismutases (SODs) are found in many cell types and convert O2 radicals into hydrogen peroxide This group of enzymes includes:- Manganese-SOD localized in mitochondria Copper-zinc- SOD found in the cytosol. - One of the earliest discovered hereditary forms of Amyotrophic lateral sclerosis (ALS) has mutations in the gene encoding copper-zinc superoxide dismutase (SOD1) on chromosome 21; this variant accounts for about 20% of familial cases.